The number 12 in a 3 unit formula 12-6-8 indicates the blade is
1. 12 mm in length
2. 1.2 mm in length
3. 12 mm in width
4. 1.2 mm in width

Correct answer: 4. 1.2 mm in width